Alpha-Fetoprotien concentration in serum is elevated in:
1. Hepatoma
2. Cirrhosis
3. Endodermal sinus tumor
4. All

Correct answer: 4. All

Explanation: Ans. is a, b and c i.e. Hepatoma, Endodermal sinus tumor, Cirrhosis